Most common CVS lesion in Down syndrome is:
1. VSD
2. Endocardial cushion defect
3. TOF
4. COA

Correct answer: 2. Endocardial cushion defect

Explanation: b. Endocardial cushion defect(Ref: Nelson's 20/e p 610-615, Ghai 8/e p 637-639)Most common cardiac defect in Down syndrome is Endocardial cushion defect or Atrioventricular septal defect